Most common type of cephalic presentation is:
1. Breech
2. Shoulder
3. Brow
4. Vertex

Correct answer: 4. Vertex

Explanation: Most common presentation in cephalic is Vertex or occiput presentation